Hoarseness of voice occurs early in:
1. Glottic carcinoma
2. Subglottic carcinoma
3. Supraglottic carcinoma
4. Equal incidence in all

Correct answer: 1. Glottic carcinoma

Explanation: (a) Glottic carcinoma(Ref. Cummings, 6th ed., 1612)Glottic carcinoma, i.e. carcinoma of the vocal cords presents early with hoarseness. In fact hoarseness is its presenting feature.Supraglottic and subglottic carcinoma can also lead to hoarseness due to later local spread to glottis.